Which of the following is not an evidenced based recommended therapy for the management of acute respiratory distress syndrome
1. Low tidal volume mechanical ventilation
2. Inhaled nitric oxide
3. Minimize left atrial filling pressures
4. Prone positioning

Correct answer: 2. Inhaled nitric oxide

Explanation: Answer- B. Inhaled nitric oxideMechanical ventilationLorv tidal volumcMininrize left atrial filling pressuresHigh-PEEP or "open lung"Prone positionGlucocoicoidsHigh frequency ventilation